A known case of chronic kidney disease stage 4 is on insulin therapy. What adjustment in insulin dosage is required?
1. Increase dose of insulin
2. Decrease dose of insulin
3. Variable
4. No alteration in dose

Correct answer: 2. Decrease dose of insulin

Explanation: Some of the insulin is cleared by the kidneys. No dose adjustment is required if GFR is more than 50 mL/min. If GFR is less than 50 mL/min, then insulin dose should be reduced. As in CKD stage 4 GFR is <15mL/min so the dose of insulin should be decreased.